All of the following are biochemical markers included for triple test except
1. Alfa-fetoprotein
2. Human chorionic gonadotropin (hCG)
3. Human placental lactogen (HPL
4. Unconjugated oestriol

Correct answer: 3. Human placental lactogen (HPL

Explanation: Triple test It is a combined biochemical test which includes MSAFP,hCG,UE3(unconjugated oestriol).Maternal age in relation to confirmed gestational age is also taken into account.It is used for the detection of Down's syndrome.In an affected pregnancy,level of MSAFP and UE3 tend to be low while that of hCG is high.It is performed in 15-18 weeks. D.C.DUTTA'S TEXTBOOK OF OBSTETRICS,pg no:106,7th edition